A patient complains of generalized soreness over the entire mandibular ridge. This is probably due to:
1. Occlusal imbalance
2. Excessive vertical dimension
3. Over-extended borders
4. Under-extended borders

Correct answer: 2. Excessive vertical dimension